A 7 years old girl with falling grades and complaints by teacher that she is inattentive in class to her parents and has bad school performance. On hyperventilation her symptoms increased and showed the following EEG findings. Diagnosis is (graph is given):
1. Myoclonic epilepsy
2. Myoclonus
3. Absence seizure
4. Juvenile myoclonic epilepsy

Correct answer: 3. Absence seizure

Explanation: Ans. c. Absence seizures